True about subarachnoid space
1. Surround the conus
2. Outside subdural space
3. Between piamater and brain
4. Between dura and subarachnoid

Correct answer: 1. Surround the conus

Explanation: Subarachnoid space ends at S2 level while spinal cord ends at L1. Thus it surrounds the conus completely